Secondaries of all the following cause osteolytic lesions except -
1. Prostate
2. Kidney
3. Bronchus
4. Thyroid

Correct answer: 1. Prostate

Explanation: Ans. is 'a' i.e., Prostate Majority of bony metastasis are mixed type (with more lytic component). but purely osteolytic and purely osteoblastic lesions are seen in the following tumors. Osteolytic Metastasis Osteoblastic Metastasis Kidney Men Women Lung Prostate Breast Breast Seminoma Uterus Thyroid Ovary GIT (stomach colon) Common Carcinoid Osteosarcoma Neurogenic